Tumor marker of ca ovary for follow up
1. CEA
2. PSA
3. CA 125
4. BETA HCG

Correct answer: 3. CA 125

Explanation: Ans. (c) CA 125Ref : Shaws 15th ed. 1422,, Shaws 15th ed./ 928* Tissue markers such as CA-125 and NB/70k are useful mainly in the follow-up of certain tumors.* CA-125 is a glycoprotein and surface cell antigen which is secreted by the malignant epithelial tumors.* Level of CA-125 more than 35 U/ml suggests malignant and residual tumor, and indicates the need of chemotherapy.* CA-125 is also raised in abdominal tuberculosis and endometriosis.* CEA (carcinoembryonic antigen) more than 5 mg/1 is seen in mucinous ovarian tumour.* NOTE: CA-125 is raised in only 50% cases in Stage I and 90% in Stage II ovarian cancer.